In Volkmanns contracture which artery is injured ?
1. Radial artery
2. Brachial artery
3. Ulnar artery
4. subclavian

Correct answer: 2. Brachial artery

Explanation: Volkmanns ischemic contracture is due to injury to Brachial artery Refer Maheshwari 9th/ed pg102